All of the following are parts of cognitive behavior change technique except:
1. Pre-contemplation
2. Consolidation
3. Action
4. Contemplation

Correct answer: 2. Consolidation

Explanation: B i.e. Consolidation